The vaccine not to be given during pregnancy is ?
1. MMR
2. Rabies
3. Hepatitis B
4. Diphtheria

Correct answer: 1. MMR

Explanation: Ans. is 'a' i.e., MMR